Drugs that reduce myocardial remodelling in CHF include all of the following except:
1. Carvedilol
2. Digoxin
3. Enalapril
4. Spironolactone

Correct answer: 2. Digoxin